Metabolic acidosis is associated with all of the following
except:
1. Chronic renal failure
2. Prolonged vomiting
3. Starvation
4. Uncontrolled DM

Correct answer: 2. Prolonged vomiting